Of the following permanent teeth, which is least likely to have two roots?
1. Maxillary canine
2. Mandibular canine
3. Maxillary first premolar
4. Mandibular first premolar

Correct answer: 1. Maxillary canine